Which of the following is true about anatomy of the cerebellum?
1. Globose cells are present in the roof
2. Vermis is present in the midline
3. Flocculonodular lobe is concerned with smoothening and co-ordination of movements
4. Dentate nucleus is the medial most nucleus

Correct answer: 2. Vermis is present in the midline

Explanation: Ans. is 'b' i.e., Vermis is present in the midline.(Ref: Ganong 23d/e p. 255)'The vermis is a midline structure that connects the two cerebellar hemispheres.'Dentate nucleus is the lateral most nucleus.''Spinocerebellum and not flocculonodular lobe is concerned with smoothing and coordination of movements''Globose cells are a part of deep cerebellar nuclei and are present deep inside the substance of cerebellum.